Amyloid protein in human being is:
1. A naturally present protein in normal individuals
2. Involves selectively blood vessels
3. Is visible by naked eyes as whitish cheesy material
4. A material which gets deposited in extracellular spaces

Correct answer: 4. A material which gets deposited in extracellular spaces

Explanation: Ans. D. A material which gets deposited in extracellular spaces(Ref. Robbins and Cotran Pathologic basis of Disease 9/e Chapter 6)Amyloid FibrilsPhysical nature of amyloidX-ray crystallography and infrared spectroscopy demonstrate a characteristic cross-b-pleated sheet conformation.